Grave's disease is characterized by:
1. Goiter.
2. Thyrotoxicosis.
3. Exophthalmos.
4. All of the above.

Correct answer: 4. All of the above.